Impedance audiometry is done using frequency probe of
1. 220 Hz
2. 555 Hz
3. 440 Hz
4. 1000 Hz

Correct answer: 1. 220 Hz

Explanation: It consists of a probe which fits into the external acoustic canal and has 3 channels: To deliver a tone of 220Hz To pick up the reflected sound a microphone To bring about changes in air pressure in the canal from positive to normal and then negative Ref: Dhingra; 6th Edition; pg no 24